Saturated fatty acid is present in high quantity –
1. Coconut oil
2. Sunflower oil
3. Safflower oil
4. Soyabeen

Correct answer: 1. Coconut oil